Ketamine is useful as an anesthetic agent in
1. Ischemic heart disease
2. Intracranial hemorrhage
3. Hyperactive airways
4. Glaucoma

Correct answer: 3. Hyperactive airways

Explanation: Ketamine is a potent bronchodilator and relieves bronchospasm -Intravenous anaesthetic agent of choice in asthmatic Ketamine increases ICT, IOP and cardiac oxygen demand, therefore contraindicated in other three conditionsNote-Inhalation anaesthetic agent of choice in asthmatics is halothane.(Refer: Morgan and Mikhail's Clinical Anaesthesiology, 5th edition, pg no. 182 - 184)